Which of the following elements is not required for hydroxylation of proline in collagen synthesis?
1. Vit C
2. O2
3. Dioxygenases
4. Pyridoxal phosphate

Correct answer: 4. Pyridoxal phosphate

Explanation: Fe2+ and a-ketoglutrate are also needed in hydroxylation of proline for collagen synthesis.